Which of the following is true about wandering fibroid?
1. Attached to uterus
2. Attached to uterus and surrounding viscera
3. Attached to surrounding viscera
4. Neither attached to uterus nor to surrounding viscera

Correct answer: 3. Attached to surrounding viscera

Explanation: Ans is 'c' i.e., Attached to surrounding viscera o A subserous pedunculated myoma may complicate by undergoing rotation at the site of its attachment to the uterus.o As a result, its veins are occluded and the tumour becomes engorged with blood.o Patient presents with very severe abdominal pain.o In very rare cases, these rotated tumors may adhere to an adjacent viscera and obtain a fresh blood supply from these adhesions and finally be detached completely from the uterus and are attached only to adjacent viscera. Such fibroids are called wandering or parasitic fibroids.